Patient of contamination phobia was asked by therapist to follow behind him and touch everything he touches. During process therapist kept talking quietly and calmly to the patients. The patient was asked to repeat the procedure twice daily. The procedure is:
1. Flooding
2. Modeling
3. Positive reinforcement
4. Aversion therapy

Correct answer: 2. Modeling

Explanation: This is an example of participant modeling in which patient learns by observation and imitation of therapist. Positive reinforcement- Increase in frequency of behavior because of positive consequences. Flooding-Type of behavioral therapy in which maximum stimuli is given in first response Aversion therapy- It uses classical conditioning Helpful in treatment of unwanted behaviors such as paraphilias